All of the following are indicators of adequacy of pre- operative resuscitation except -
1. C-reactive protein level
2. Consciousness level
3. Urine output
4. Hematocrit level

Correct answer: 1. C-reactive protein level